All of the following are potentially cured by chemotherapy except -
1. Hodgkins
2. ALL
3. Wilm's tumour
4. Chondrosarcoma

Correct answer: 4. Chondrosarcoma